The mechanism by which cytosol pyruvate is transported to mitochondria is
1. Chloride antiport
2. Proton symport
3. ATP dependent antiport
4. Facilitated uniport

Correct answer: 2. Proton symport

Explanation: Pyruvate is formed from glucose oxidation (glycolysis) in cytosol.
It is transported into the mitochondria along with Er (proton) symport by a monocarboxylate carrier.